Epidemics after disaster are caused by all except –
1. Leptospirosis
2. Rickettsiosis
3. Leishmaniasis
4. Acute respiratory infection

Correct answer: 3. Leishmaniasis

Explanation: Disease common in Post-disaster Phase

Gastroenteritis (MC)
Acute respiratory tract infections (Pneumonia)
Leptospirosis
Rickettsiosis
Rabies
Equine encephalitis